Hexosaminidase A deficiency causes
1. Tay-sach disease
2. Niemann pick disease
3. Gaucher's disease
4. Krabbe's disease

Correct answer: 1. Tay-sach disease

Explanation: Tay Sach's disease is a lipid storage disease. Due to deficiency of hexosaminidase A.GangliosideRef: DM Vasudevan, 7th edition, page no: 193